A patient with biliary atresia is more prone to the deficiency of:
1. Vit B12
2. Vit K
3. Vit C
4. Niacin

Correct answer: 2. Vit K

Explanation: Biliary atresia leads to malabsorption of fat-soluble vitamins -This is an indirect question. Bile is needed for the digestion of lipids (micelle formation) Absence of bile leads to lipid malabsorption Lipid soluble vitamins are absorbed along with lipids Among the options, Vitamin K is the only fat-soluble vitamin. So, it is the answer. Moreover, Absorption of carotenes and fat-soluble vitamins is impaired on a very low fat diet.